A standing person lies down.  Which of the following physiological change occurs immediately?
1. Increased heart rate
2. Decreased blood flow to the apices of the lung
3. Immediate increase in venous return
4. Increase in blood pressure

Correct answer: 3. Immediate increase in venous return

Explanation: (Refer: Ganong’s Review of Medical Physiology, 24th edition, pg no: 591-594)